What is the preferred treatment of complete prolapse in a female with completed family?
1. Sling surgery
2. Vaginalhysterectomy
3. Le Forte's repair
4. Pessary

Correct answer: 2. Vaginalhysterectomy

Explanation: Ans. is 'b' i.e., Vaginal hysterectomy o Vaginal hysterectomy is commonly performed for major degree uterine prolapse in a female with completed familyo Abdominal sling surgery done in:# Young women# Second or third degree uterine prolapse# Desirous of retaining their childbearing and menstrual functions.o Le Forte's repair is used for:# Very elderly menopausal women# Advanced prolapse# Unfit for any major surgical procedureo Pessary is used for :# Young woman planning a pregnancy# During early pregnancy# Woman unfit for surgery# Temporary use while clearing infection and decubitus ulcer.